Which of the following sites is not involved in a posterior cerebral artery infarct?
1. Midbrain
2. Thalamus
3. Temporal lobe
4. Anterior Cortex

Correct answer: 4. Anterior Cortex

Explanation: In 75% of cases, both PCAs arise from the bifurcation of the basilar artery; in 20%, one has its origin from the ipsilateral internal carotid artery the posterior communicating artery; in 5%, both originate from the respective ipsilateral internal carotid arteries.Two clinical syndromes are commonly observed with occlusion of the PCAP1 syndrome: midbrain, subthalamic, and thalamic signs, which are due to disease of the proximal P1 segment of the PCA or its penetrating branches (thalamogeniculate, Percheron, and posterior choroidal arteries)P2 syndrome: cortical temporal and occipital lobe signs, due to occlusion of the P2 segment distal to the junction of the PCA with the posterior communicating artery.(Ref: Harrison's 18/e p3286, 3287, 17/e p2525)